In CML serum vitamin B12 level is:
1. Slightly decreased
2. Normal
3. Markedly decreased
4. Increased

Correct answer: 4. Increased

Explanation: Wintrobes hematology mentiins granulocytes contain and release B12 binding proteins.Markedly elevated transcobalamin 1 level are seen in chronic myelocytic leukemia and myeloid metaplasia whereas low levels are seen in chronic leucopenia and aplastic anemia. Williams hematology 8th adds that the increase is proportional to the total leucocyte count in untreated patients and falls with treatment.(ref Robbins 7th /697-698)